Largest fraction of CO2 is present in blood as:
1. Attached with RBC
2. Dissolved in blood
3. With Hb as carbaminohemoglobin
4. Bicarbonate

Correct answer: 4. Bicarbonate

Explanation: D i.e. Bicarbonate